Postzone phenomenon is seen in -
1. Antigen excess
2. Antibody excess
3. Equivalance zone
4. None of the above

Correct answer: 1. Antigen excess

Explanation: Ans. is 'a' i.e., Antigen excess Antigen - antibody reaction || ||Ascending partPeakDescending part|||Prozone or zone of antibody excessZone of equivalencePost zone or zone of antigen excess